Carcinoma cervix involving upper 2/3rd of vagina. The stage would be:
1. Stage II a
2. Stage II b
3. Stage III a
4. Stage III b

Correct answer: 1. Stage II a

Explanation: Ans. A: Stage II a